Psammoma bodies show which type of calcification:
1. Metastatic
2. Dystrophic.
3. Secondary
4. Any of the above

Correct answer: 2. Dystrophic.

Explanation: Dystrophic